Child with frog like position and resistance to move the limbs –
1. Scurvy
2. Rickets
3. Trauma
4. Congenital dislocations

Correct answer: 1. Scurvy

Explanation: It is a case of pseudoparalysis.